Which of the following muscle produces abduction of vocal cord?
1. Posterior cricoarytenoid
2. Lateral cricoarytenoid
3. Cricothyroid
4. Oblique arytenoids

Correct answer: 1. Posterior cricoarytenoid

Explanation: Intrinsic muscles of larynx
 
Exceptions: 1. All are paired except transverse arytenoid
                       2. All lie internally except cricothyroid
A) Muscles which modify rima glottidis